According to AHA/ACC all the surgeries are associated with low risk requiring no preoperative cardiac testing in patients with known coronary artery disease except-
1. Cataract surgery
2. Endoscopic procedure
3. Prostate Sx
4. Breast Sx

Correct answer: 3. Prostate Sx

Explanation: Risk stratification Procedure examples Vascular (reported cardiac risk >5%) Aortic and other major vascular surgery Peripheral vascular surgery Intermediate risk (reported cardiac risk 1%-5%) Intraperitoneal and intrathoracic surgery Carotid endarterectomy Head and neck surgery Orthopedic Surgery Prostate surgery Low risk (reported cardiac risk <1% Endoscopic procedures Superficial procedures Cataract surgery Breast surgery Ambulatory surgery